Which is not true about the thoracic outlet syndrome
1. Resection of first rib solves symptoms
2. Neurological features are most common
3. Positive adson's test
4. Radial nerve is commonly affected

Correct answer: 4. Radial nerve is commonly affected

Explanation: Not the Radial nerve, but Ulnar nerve is most commonly affected in thoracic outlet syndrome. Thoracic Outlet Syndrome is the collective name which includes - Cervical rib syndrome Scalenus anterior syndrome Costoclavicular syndrome Hyperabduction syndrome Pectoralis minor syndrome First thoracic rib syndrome The syndrome is caused by compression of the brachial plexus or subclavian vessels in the region of thoracic inlet. The symptoms may arise from neural, vascular or combined compression. Neurological symptoms (are more common) Compression of the brachial plexus usually affects its lower trunk (C8 & T1). Symptoms are - Pain, paraesthesia and numbness usually in the finger and hands in the ulnar nerve distribution. Symptoms of Arterial Compression are seen less frequently in about 1/4 of the cases. Symptoms are - Pain, numbness, paresthesia, coldness and weakness of the arm or hand. Raynauds phenomenon may also occur. Venous symptoms are less common and include edema, venous distention, pain and cyanosis. Diagnostic tests or manoeuvres : Adsons test Costoclavicular compressive test Hyperabduction test. Ref : S. Das text book of Surgery 3/e p170